Cardiac defect in William's syndrome is
1. ASD
2. PS
3. VSD
4. Supravalvular aortic stenosis

Correct answer: 4. Supravalvular aortic stenosis

Explanation: (D) Supravalvular aortic stenosis # WILLIAMS SYNDROME shares some features with autism (such as difficulty understanding the state of mind of conversational partners) and Fetal alcohol syndrome (e.g., certain facial features, possible intellectual disability, and negative potential outbursts), although persons with Williams generally possess very good social skills, such that this condition is sometimes called "cocktail- party syndrome. Supravalvular aortic stenosis is common